The parotid duct is known as
1. Wharton's duct
2. Stenson's duct
3. Duct of Santorini
4. Duct of Wirsung

Correct answer: 2. Stenson's duct

Explanation: ParotidStenson's ductOpens at upper 2nd molar toothSubmandibular glandWharton's ductOpens into the papilla just lateral to the frenulumSublingual glandDucts of RiviniusNumerous excretory ducts(Ducts of Rivinus), directly into the oral cavityDuct of Wirsung is major pancreatic ductDuct of Santorini is accessory pancreatic ductRef: Bailey and love, page no: 779